First line treatment for keloid is:-
1. Intralesional injection of steroid
2. Local steroid
3. Radiotherapy
4. Wide excision

Correct answer: 1. Intralesional injection of steroid

Explanation: Treatment of hypertrophic and keloid scars Pressure: local molds or elasticated garments Intralesional steroid injection Excision and postoperative radiation Intralesional excision Laser: To reduce redness Vitamin E or palm oil massage Silicone gel sheeting Excision and steroid injection